Lateral movement is produced by anterior translation of one condyle producing rotation about the
1. Center in the opposite condyle
2. Center in the opposite ramus
3. Center in the opposite angle
4. Center in the opposite neck

Correct answer: 1. Center in the opposite condyle